pBest result for large capillary (port wine) hemangioma is -
1. Tattooing
2. Cryosurgery
3. Laser
4. Excision with split thickness grafting

Correct answer: 3. Laser

Explanation: Ans. is 'c' i.e., Laser ablation Pulsed dye laser (PDL) therapy is considered the standard of care for the treatment of capillary malformations. It is based on the concept of selective photothermolysis.. The beam is selectively absorbed by red- pigmented material such as hemoglobin in the blood vessels of the lesion. This produces selective heat destruction of capillary vessel walls with minimal damage to the overlying epidermis, which leads to lightening of the port wine stain without scarring."The best treatment to date for early and intermediate port wine stains is with the pulsed dye laser. The method of treatment is termed selective photothermolysis. The beam is selectively absorbed by red- pigmented material such as hemoglobin in the blood vessels of the lesion. This produces selective heat destruction of these structures, and the treated area becomes whiter. "-- CSDT 13/eCapillary malformations (port wine stains or nevus flammeus)o Capillary malformations (port wrine stains or nevus flammeus) are 3owr-flow vascular malformations of dermal capillaries and postcapillary venules.o They are present at birth as bianchable pink to red patches.o They may be located anywhere on the body, most commonly on the face, typically with a unilateral or segmental distribution that respects the midline.o On the face, they tend to follow the distribution of the trigeminal nerve branches (segments VI , V2 , and V3 )o Capillary malformations do not regress, but grow in proportion to the child's growth and become thicker and darker in color during adulthood.Port wine stainStraw berry angiomasSalmon patcho Isa vascular malformation.o Baby is normal at birtho Also k/a Macular stain or stork biteo It is present at birtho Appears at the age of 2 - 3 weekso Present at birtho Grows along with the childo Grows at a rapid rate upto 4-6 monthss of age and then ceases to grow and spontaneous involution begins.o Seen over the forehead in the midline and over the occiputo Do not regress. o Disappear by the age of 1 year o Involution is slow but is complete by 5-7 years of age. o Emptying sign is demonstrable in strawberry angioma. Tip to remembero patch can be removed.o Strawberry decays.o Wine does not decay, (so port wine stain remains for whole life)o Treatment includes pulse day laser or surgical excision.